In pellagra, all are seen except -
1. Diarrhoea
2. Dermatitis
3. Delusion
4. Dementia

Correct answer: 3. Delusion

Explanation: Ans. is 'c' i.e., Delusion PellagraNiacin (Vit B) defTriad of -DermatitisDiarrheaDementia